Syringes and glassware are sterilized by?
1. Irradiation
2. Autoclave
3. Hot air oven
4. Glutaraldehyde

Correct answer: 3. Hot air oven

Explanation: Hot air oven REF: Ananthnarayan 8th e p. 35 Procedures of sterilization of some important materials Glasswares, syringes, petridishes, test tubes, flasks, surgical instruments, oily fluids and powders Hot air oven Serum, body fluids, bacterial vaccines Waterbath , vaccine bath Milk Pasteurization at 63deg c x 30 mins or 72deg c x 20 mins Cystoscope and endoscope Glutaraldehyde (cidex) or ethylene oxide Most culture media Autoclaving Culture media containing egg, serum, sugar Tyndallisation Rubber, plastic, polythene tubes, disposable syringes Glutaraldehyde , ethylene oxide gas Dressings, aprons, gloves, catheters, surgical instruments except sharps Autoclaving Sharps 5% cresol Suture material except cat gut Autoclaving Catgut Radiation Rubber or plastic disposable goods, disposable syringes, bone and soft tissue grafts, dressings Radiation Faeces, urine, vomitus, sputum Bleaching powder, cresol, formalin, burning, autoclaving, boiling Sterlisation of operation theatre Formaldehyde Wards and laboratory or operation theatre floor space Formaldehyde gas or cresol Skin Tincture iodine, spirit (70% ethanol ), savlon